An 80-year-old patient presents with a midline tumor of the lower jaw, involving the alveolar margin. He is edentulous. Treatment of choice is:
1. Hemimandibulectomy
2. Commando operation
3. Segmental mandibulectomy
4. Marginal mandibulectomy

Correct answer: 3. Segmental mandibulectomy

Explanation: Mandibulectomy Marginal mandibulectomy Segmental mandibulectomy - Conservative mandibulectomy - Refers to partial excision of the superior portion of mandible in vertical phase - Inner cortical surface and a portion of underlying medullary cavity is excised - Preserve mandibular continuity - Indicated when tumor lies within I cm of the mandible or abuts the periosteum without evidence of direct bony invasion - Entire through and through segment of mandible is resected - Results in mandibular discontinuity - Require major reconstructive procedure for cosmetic and functional purposes - Indications: 1. Invasion of medullary space of mandible 2. Tumor fixation to occlusal surface of mandible in edentulous patients 3. Invasion of tumor into the mandible mandibular or mental foramen 4. Tumor fixed to the mandible.